Composition of Nova - T :
1. Copper & silver
2. Copper & aluminium
3. Copper only
4. Copper & Selenium

Correct answer: 1. Copper & silver

Explanation: Ans. is a i.e. Copper and Silver Nova-T is nothing but Cu-T, where silver is added to the copper wire thereby increasing lifespan of Cu-T from 3 years to 5 years in Nova-T.